What is the most common cause for Budd chiary syndrome-
1. Right ventricular failure
2. PNH
3. Valve in hepatic veins
4. Polycythemia vera

Correct answer: 4. Polycythemia vera

Explanation: Answer is D (Polycythemia vera) Polycythemia vera is the most common cause for Budd chiral syndrome amongst the options provided.